Mucocutaneous leishmaniasis is caused by:
1. L. braziliensis
2. L. tropica
3. L. donovani
4. L. orientalis

Correct answer: 1. L. braziliensis

Explanation: Ans. is 'a' i.e., L. braziiiensis(Ref: Chatterjee, 12th/e, p.54)* Visceral leishmaniasis (Kala azar) - L. donovani.* Cutaneous Leishmaniasis(a) Oriental sore - L. tropica.(b) Mucocutaneous leishmaniasis (Espundia) - L. brasiliensisLeishmania brazilensis causes mucocutaneous or nasopharyngeal leishmaniasis in Amazonian South America.